Excessive ultraviolet (uv) radiation is harmful to life. The damage caused to the biological systems by ultraviolet radiation I by:
1. Inhibition of DNA synthesis
2. Formation of thymidine dimmers
3. Ionization
4. DNA fragmentation

Correct answer: 2. Formation of thymidine dimmers

Explanation: B i.e. Formation of thymidine dimers